Which of the following respiratory lesion is not associated with smoking?
1. Chronic bronchitis
2. Sarcoidosis
3. Emphysema
4. Lung carcinoma

Correct answer: 2. Sarcoidosis

Explanation: Chronic bronchitis, emphysema, cardiovascular disease and lung cancer are associated with smoking.The earlier the person begins to smoke, the greater is the risk of these life-threatening diseases.Park 23e pg:835